Renal trauma is best treated by
1. Observation and supportive measures
2. Early drainage of perirenal haematoma
3. Heminephrectomy
4. Nephrostomy

Correct answer: 1. Observation and supportive measures